Area of brain involved in OCD:
1. Basal ganglia
2. Temporal lobe
3. Cerebellum
4. All of the above

Correct answer: 1. Basal ganglia

Explanation: Ans. A i.e. Basal ganglia